Which of the following is a sexually transmitted protozoan?
1. Entamoeba histolytica
2. Toxoplasma gondii
3. Trypanosoma cruzi
4. Trichomonas vaginalis

Correct answer: 4. Trichomonas vaginalis

Explanation: Intestinal protozoaGiardia lamblia (flagellate)Entamoeba histolytica (ameba)Cryptosporidium hominis (sporozoa)Cyclospora cayetanensis (sporozoa)Sexually transmitted protozoan infectionTrichomonas vaginalis (flagellate)Blood and tissue protozoan infectionsSporozoaPlasmodium vivax, Plasmodium falciparum, Plasmodium ovale,and Plasmodium malariaeBabesia microtiToxoplasma gondiiMicrosporidiaAmebaeEntamoeba histolytica (see intestinal protozoa)Naegleria fowleri and Acanthamoeba castellaniiFlagellatesTrypanosoma brucei rhodesiense and Trypanosoma brucei gambienseTrypanosoma cruziLeishmania donovani, Leishmania tropica, Leishmania mexicanaRef: Jawetz Medical Microbiology; 27th edition; Page no: 710